In a patient with myocardial infarction the valvular lesion commonly seen is
1. Aortic stenosis
2. Mitral regurgitation
3. Aortic regurgitation
4. Septal defect

Correct answer: 2. Mitral regurgitation